Fleischner sign on barium study is seen in?
1. Ileocecal TB
2. Crohn's disease
3. Small bowel carcinoid
4. Typhoid

Correct answer: 1. Ileocecal TB

Explanation: Answer- A. Ileocecal TBEarly involvement of the ileocaecal region manifesting as spasm and edema of the ileocecal valve.Thickening of the Iips of the ileocecal valve and/or wide gaping of the valve with narrowing of the terminal ileum ('Fleishner" or 'inverted umbrella sign') are characteristic.